A 71-year-old male presents with dysphagia and is found to have a 5-cm mass that is located in the middle third of the esophagus and extends into adjacent lung tissue. A biopsy from this mass would most likely reveal
1. A mass composed of benign cartilage
2. A mass composed of benign smooth-muscle cells
3. Infiltrating groups of cells forming glandular structures
4. Infiltrating sheets of cells forming keratin

Correct answer: 4. Infiltrating sheets of cells forming keratin

Explanation: Carcinoma of the esophagus accounts for about 10% of malignancies of the GI tract, but for a disproportionate number of cancer deaths. Predisposing factors include smoking, esophagitis, and achalasia. Of these carcinomas, 60 to 70% are squamous cell carcinomas that characteristically begin as lesions in situ. Adenocarcinoma occurs mainly in the lower esophagus and may arise in up to 10% of cases of Barrett's esophagus. Anaplastic and small cell variants also occur. Polypoid lesions are most common, followed by malignant ulceration and diffusely infiltrative forms. Tumors tend to spread by direct invasion of adjacent structures, but lymphatic and hematogenous spread may occur. Distant metastases are, however, a late feature. Five-year survival is less than 10% Reference: Robbins & Cotran Pathologic Basis of Disease, 9edition